Which of the following is the most useful investigation for thyroid function:
1. T3
2. T4
3. TSH
4. TRH

Correct answer: 3. TSH

Explanation: Ans. C: TSH TSH is usually regarded as the most useful investigation of thyroid function Thyroid pathology: Primary hyperthyroidism: - Decreased TSH - Raised T4 Secondary hyperthyroidism: Raised TSH Hypothyroidism: Raised TSH